Hypersensitivity vasculitis is seen in-
1. Postcapillary venules
2. Arterioles
3. Veins
4. Capillaries

Correct answer: 1. Postcapillary venules

Explanation: Ans. is 'a' i.e., Postcapillary venules